Pink disease is seen in
1. Lead poisoning
2. Cyanide poisoning
3. Caston monoxide poisoning
4. Mercury poisoning

Correct answer: 4. Mercury poisoning

Explanation: Acrodynia(Pick disease) is seen in mercury poisening.